Cystocele is formed by of the bladder :
1. Base
2. Superior surface
3. Trigone
4. Posterior

Correct answer: 1. Base

Explanation: Base